In Myasthenia gravis, antibodies are present against
1. Muscarinic receptor proteins
2. Nicotinic receptor proteins
3. Protein actin
4. Protein myosin

Correct answer: 2. Nicotinic receptor proteins

Explanation: Robbins basic pathology 9th edition page no 800,heading=Myasthenia gravis Myasthenia gravis is caused by autoantibodies that block the function of postsynaptic acetyl choline nicotinic receptors at motor end plates, which results in the degradation and depletion of the receptors. ref img :